Processing of tactile stimulation occurs in Brodmann's area ?
1. 1,2,3
2. 4, 6
3. 44,45
4. 41,42

Correct answer: 1. 1,2,3

Explanation: Ans. is 'a' i.e., 1, 2, 3Processing of general sensory inputs primarily occurs in primary somatosensory area of parietal lobe.Primary somatosensory area is Brodmann's areas 3, 1, 2.